Common for CCK and Gastrin:
1. Trophic action
2. CCK A receptor
3. Increases gastric emptying
4. Secretion is stimulated by fatty acids

Correct answer: 1. Trophic action

Explanation: Gastrin stimulates mucosal growth of the stomach and small and large intestines (trophic action). CCK exerts a trophic effect on the pancreas. Gastrin secretion is increased by the presence of the products of protein digestion in the stomach, particularly amino acids. The secretion of CCK is increased by contact of the intestinal mucosa with the products of digestion, particularly peptides and amino acids, and also by the presence in the duodenum of fatty acids containing more than 10 carbon atoms. Gastrin increases while CCK decreases gastric emptying.